Most specific marker of neural tube defects is:
1. Alpha fetoprotein
2. Pseudocholinesterase
3. Acetylcholinesterase
4. Inhibin

Correct answer: 3. Acetylcholinesterase

Explanation: Ans. is 'c' i.e. Acetylcholinesterase * NTD is suspected if the maternal serum AFP is elevated, and if the ultrasonographic examination is nondiagnostic, then amniotic fluid AFP levels are measured.* An elevated amniotic fluid AFP level prompts assay of the same sample for acetylcholinesterase. The presence of this enzyme 100% confirms that exposed neural tissue or another open fetal defect is present. AFP is not specific & is elevated in many conditions.